Origin of maxillary artery
1. Neck of condyle.
2. Angle of mandible.
3. Body of mandible.
4. Coronoid process

Correct answer: 1. Neck of condyle.